In Kwashiorkor, which immunoglobulin is most affected -
1. IgD
2. lgA
3. IgE
4. IgM

Correct answer: 2. lgA

Explanation: Ans. is 'b' i.e., IgA In malnourished subjects, secretory IgA is generally reduced. Therefore infections tend to be severe and recovery delayed.